LMP 1 gene plays a role in oncogenesis induced by
1. Human T cell leukemia virus type 1
2. Hepatitis B virus
3. Epstein Barr virus
4. Human papilloma virus

Correct answer: 3. Epstein Barr virus

Explanation: Ref Robbins 9/e p328 LMP 1 gene plays a role in oncogenesis induced by EBV Epstein-Barr virus latent membrane protein 1 (LMP1) is expressed in multiple human malignancies, including nasopharyngeal carcinoma and Hodgkin and immunosuppression-associated lymphomas. LMP1 mimics CD40 signaling to activate multiple growth and survival pathways, in particular, NF-kB. LMP1 has critical roles in Epstein-Barr virus (EBV)-driven B-cell transformation, and its expression causes fatal lymphoproliferative disease in immunosuppressed mice. Here, we review recent developments in studies of LMP1 signaling, LMP1-induced host dependency factors, mouse models of LMP1 lymphomagenesis, and anti-LMP1 immunotherapy approaches